Diabetes mellitis diagnosed when -
1. Fasting blood glucose is 100 and post prandial 140
2. Fasting blood sugar 125 and 2 hour postprandial blood sugar is 199
3. Insulin level......
4. HbA1c > 6.5%

Correct answer: 4. HbA1c > 6.5%

Explanation: Criteria for the diagnosis of Diabetes mellitus : * Symptoms of diabetes plus random blood glucose concentration >=11.1 mmol/L (200 mg/dL)a or * Fasting plasma glucose >=7.0 mmol/L (126 mg/dL)b or * Hemoglobin A1c >= 6.5%c or * 2-h plasma glucose >= 11.1 mmol/L (200 mg/dL) during an oral glucose tolerance test Reference : page 2401 Harrison's Principles of Internal Medicine 19th edition